Factors that have been associated with an increased incidence of head and neck carcinomas include all of the following except
1. Syphilis
2. Hepatitis B virus
3. Exposure to nickel
4. Alcohol consumption

Correct answer: 2. Hepatitis B virus